A child died soon after birth. On examination, there was hepatosplenomegaly and oedema all over the body. Most probable diagnosis in –
1. β–thalassemia
2. α–thalassemia
3. Hereditary spherocytosis
4. ABO incompatibility/sickle cell anemia

Correct answer: 2. α–thalassemia

Explanation: Out of the given 4 types of hemolytic anemias only alpha thalassemia is able to give rise to such severe presentation at birth. In all other conditions the newborn is either normal or has mild jaundice.